Type of collagen fibres found in the pulp is:
1. Type 1 & Type 4
2. Type 1 & Type 3
3. Type 2 & Type 3
4. Type 2 & Type 4

Correct answer: 2. Type 1 & Type 3

Explanation: Pulp has type 1 and type 3 collagen.
Note: All oral hard and soft (gingival) tissues have type 1 (predominantly) and type 3 collagen.